Raised serum level of lipoprotein (a) is a predictor of which of the following:
1. Atherosclerosis
2. Cervical cancer
3. Cirrhosis of liver
4. Rheumatic arthritis

Correct answer: 1. Atherosclerosis

Explanation: Raised serum level of lipoprotein (a) is a predictor of atherosclerosis. Lipoprotein (a) has several potential atherogenic effects, including lipid accumulation, endothelial cell modulation, smooth muscle cell proliferation and control of plaque neovascularization. Lipoprotein (a) is an altered form of LDL that contains the apo B100 portion of the LDL linked to apo A.Ref: Robbins Pathologic Basis of Disease, 6th Edition, Pages 506-7.